The preferred antidote for paracetamol (acetaminophen) poisoning is :
1. Activated charcoal
2. N–acetyl cysteine
3. Adrenaline
4. Magnesium hydroxide gel

Correct answer: 2. N–acetyl cysteine